Gonococci in gram stained smears are seen inside the -
1. Lymphocytes
2. Neutrophils
3. Mast cells
4. Macrophages

Correct answer: 2. Neutrophils

Explanation: Ans. is 'b' i.e., Neutrophils